Which type of RNA has the highest percentage of modified base?
1. mRNA
2. tRNA
3. rRNA
4. snRNA

Correct answer: 2. tRNA

Explanation: The transfer RNAs show extensive internal base pairing and acquire cloverleaf-like structureThey contain significant proportion of unusual basesThese include dihydrouracil, pseudouridine, and hypoxanthineRef: DM VASUDEVAN, 7th edition, page no: 596,597